Which one of the following laboratory tests differentiates leukemoid reaction from chronic myeloid leukemia ?
1. LAP (leukocyte alkaline phosphatase)
2. LCA (leukocyte common antigen)
3. MPO (myelo-peroxidase)
4. TRAP (tartrate resistant alkaline phosphatase)

Correct answer: 1. LAP (leukocyte alkaline phosphatase)